In acoustic neuroma, the earliest ocular finding is:
1. Diplopia
2. Ptosis
3. Loss of pupillary reflex
4. Loss of corneal reflex

Correct answer: 4. Loss of corneal reflex

Explanation: Ans: d (Loss of corneal reflex)Ref: Dhingra E.N.T. 3rd ed, p. 144 & 2nd ed, p. 116. 5th nerve is the earliest nerve to be involved. This leads to reduced corneal sensitivity and loss of corneal reflex.